Necrotizing fasciitis is caused by, all except
1. Staphylococcus aureus
2. Beta haemolytic streptococci
3. Clostridium perfringens
4. Pneumococcus

Correct answer: 4. Pneumococcus

Explanation: Ans. is. d. Pneumococcus